A person met with an accident and suffer from middle cranial fossa fracture There was a bluish purple colour behind mastoid What is your probable diagnosis
1. Battle sign
2. Bezold sign
3. Laceration
4. Aberration

Correct answer: 1. Battle sign

Explanation: ref : narayana reddy